Ashley rule is for determination of what:
1. Age
2. Sex
3. Height
4. Ethnicity

Correct answer: 2. Sex

Explanation: Ans. b. Sex (Ref: Modern Medical Toxicology/p4)Ashley's rule is used to know the sex of sternum; It is also known as '149 rule'Differences between Male & Female sternumFeaturesMale sternumFemale sternumBodyBigger, longer & more than twice the length of manubriumShorter & less than twice the length of manubriumAshley's ruleTotal length >149 mmTotal length <149 mmLevel of upper borderAt the level of lower part of body of 2nd thoracic vertebraeAt the level of lower part of 3rd thoracic vertebraeManubriumSmallerBiggerSternal index46.254.3Sternal index = Length of manubrium x 100/length of body of sternumDifferences between Male & Female pelvisFeaturesMale pelvisFemale pelvisGeneral frameworkDeep, funnel shaped Massive & roughShallow, bowl shaped Less massive & smoothTrue pelvisNarrow deep & funnel shapedWide & shallowPelvic brimHeart shapedCircularIliumSmallerLargerIliac crestCurve is more prominent, more sloped with less rounded marginsCurve is less prominent, less sloped with more rounded marginsAnterior superior iliac spineMore prominentLess prominentPreauricular sulcusNot widely separatedWidely separatedAcetabulumWide & deep, diameter about 52 mmProminent, broad & deepSymphysis pubisHigher & bigger in depth & narrow in width.Margins of pubic arch are everted & no parturition pits on the dorsal borderSmall & narrow, diameter 46 mm Lower, wider & rounded Margins of pubic arch are not everted & parturition pits are present on dorsal borderSubpubic angle70deg--75deg (acute) subpubic arch is V shaped90deg subpubic arch is U shapedGreater sciatic notchSmaller, deeper & narrower & less than right angleWider, larger & shallower & forming a right angleSciatic notch index =Width of sciatic notch x 100 Depth of sciatic notch4-55-6Obturator foramenLarge, oval shaped with base upwardsSmall, triangular with the apex directed forwardsIschial tuberosityMore or less invertedEvertedPubis (body)Narrow & triangularBroad & squarePubis (ramus)Is continuation of bodyNarrow appearancePelvic index = AP diameter of pelvis/Transverse diameter x 100MoreLessKell index = Surface area of acetabulum/Surface area of illium x 100MoreLess